Skeletal fluorosis can be diagnosed on X ray of:
1. Hips
2. Knee
3. Forearm
4. None of the above

Correct answer: 3. Forearm

Explanation: Skeletal fluorosis is associated with severe pain and stiffness in joints in hip region. Bone Xray is suggestive of increased girth and density of bone. Confirmed case of fluorosis is defined as presence of one or both of the following: High level of fluoride in urine >1mg/L Intraosseous membrane calcification in fore arm confirmed by Xray Ref: Health policies and programmes in India, D.K. Taneja 11th edition page: 329